Acrodynia is associated with:
1. Lead
2. Mercury
3. Zinc
4. Arsenic

Correct answer: 2. Mercury

Explanation: Ans. (b) MercuryRef: The Essentials ofFSM by K.S. Narayan Reddy 31st ed. / 505MERCURY POISONING (HYPRAGYRISM)* Vapours of mercuric compounds are poisonous because it will be absorbed in the systemic circulation.* Mercuric compounds being soluble are more poisonous than mercurous (less soluble) compounds.Clinical Presentation of Mercury Poisoning (Remembered as MEATS)* Mercuria lentis: brownish deposition of mercury on the anterior lens.* Membranous colitis* Erethism: Characterized by shyness, irritability, tremors, loss of memory & insomnia.* Acrodynia (Pink disease): Generalized pinkish body rash starting from tips of fingers & toes# Characterized by 5 P's: Pinkish, Puffy, Painful, Paresthetic hands, and feet with Peeling of skin.* Tremors: Also known as Danbury tremors, hatters or glass-blowers shake* Salivation & gingivitis: excessive salivation associated with metallic taste, gingivitis, loosening of teeth and blue-black line on gums.Also, knowDifferent Metallic Poisoning and Their Effect on Hair And SkinPoisoningColor of Hair & SkinArsenic (As)* Yellow color of skin, hair & mucous membrane* Milk rose (Brownish pigmentation)/Rain drop pigmentation* BLACK FOOT DISEASECopper (Cu)* Jaundiced skin* Green-blue skin, hair & perspiration* Green - purple line on gumsMercury (Hg)* Blue-black line on gums with jaw necrosis and loosening of a tooth* Brown deposits on anterior lens capsule (mercurial lentils)* Acrodynia (pink disease)Lead (Pb)* Blue stippled Burtonian line on gums, especially on the upper jaw.Other Features of Mercury Poisoning*Proximal Convoluted Tubule necrosis* Prevalence of abortions are common* Minimata disease is an organic mercury poisoning due to consumption of fish poisoned by mercury.